Length of intraorbital part of optic nerve is :
1. 10-12 mm
2. 20-24 mm
3. 25-30 mm
4. 35-40 mm

Correct answer: 3. 25-30 mm

Explanation: Length of optic nerve – 5 cm

Intraocular portion – 20 mm
Intraorbital portion – 30 mm